Most often the first sign of involvement of opposite side in cavernous sinus thrombosis is:
1. Paralysis of opposite lateral rectus muscle
2. Proptosis of the opposite side
3. Paralysis of opposite 3rd nerve
4. All of the above

Correct answer: 1. Paralysis of opposite lateral rectus muscle

Explanation: Ans. Paralysis of opposite lateral rectus muscle